A 20 year old male with history of fever and enlarged lymphnodes and sore throat, suspected to have infections mononucleosis and was ordered a Paul Bunnel test. What is the principle of the test:
1. Heterophile agglutination test
2. Neutralization test
3. Complement fixation test
4. Agglutination reaction

Correct answer: 1. Heterophile agglutination test

Explanation: Ans. (a) i.e. Heterophile agglutination test